38-year-old man Babbu, a chronic alcoholic, presents with pain in the abdomen. On examination, his liver is enlarged and serum alpha-fetoprotein is elevated. The most likely diagnosis is -
1. Hepatocellular carcinoma
2. Liver cell hyperplasia
3. Hepatic adenoma
4. Hepatitis

Correct answer: 1. Hepatocellular carcinoma

Explanation: Increase in α feta protein is associated with hepatocellular carcinoma and chronic alcoholism is a well known and common predisposing factor.

Clinical Feature

In most cases, hepatocellular carcinoma presents as an ill defined upper abdominal pain, malaise, fatigue and weakness and sometimes awareness of an abdominal mass or abdominal fullness.
On palpation, the enlarged liver may be felt as a
Unifocal usually large mass
Multifocal widely distributed nodules of variable size.
Diffuse infiltrative cancer.